CD4 cells recognize the antigens in association with
1. MHC I
2. MHC II
3. MHC III
4. B-cell receptor

Correct answer: 2. MHC II